______ muscle pulls the tongue upwards and backwards during swallowing:
1. Hyoglossus
2. Palatoglossus
3. Superior longitudinal
4. Styloglossus

Correct answer: 4. Styloglossus